The best investigation for the diagnosis of amyloidosis is
1. Colonoscopy
2. Rectal biopsy
3. Upper GI endoscopy
4. CT scan

Correct answer: 2. Rectal biopsy

Explanation: Diagnosis Microscopic examination - biopsies from kidney, gingiva, rectum Congo red staining on abdominal fat aspirates Serum & urine protein electrophoresis Bone marrow aspiration - to r/o plasmacytosis Scintigraphy with radiolabelled serum amyloid P (SAP) component